Following surgery, the wound heals in a linear fashion without any complication. This type of healing is called
1. Primary healing
2. Secondary healing
3. Delayed primary healing
4. Reepithelization

Correct answer: 1. Primary healing

Explanation: Ans. (a) Primary healing(Ref: Gilmore MA. Phases of wound healing)* Primary healing occurs within hours of repairing a full thickness surgical incision.